Infant mortality rate is defined as
1. Number of infant deaths per 1000 live birth
2. Number of infant deaths per 1000 of total birth
3. umber of infant deaths per 1000 of mid year population
4. Number of infant deaths per 1 lakh of mid year population.

Correct answer: 1. Number of infant deaths per 1000 live birth

Explanation: (A) Number of infant deaths per 1000 live birth # Infant mortality rate is the ratio of deaths under 1 year of age in a given year to the total number of live births in the same year; usually expressed as a rate per 1000 live births.> It is one of the most universally accepted indicators of health status not only of infants, but also of whole population and of the socioeconomic conditions under which they live.> In addition, the infant mortality rate is a sensitive indicator of the availability, utilization and effectiveness of health care, particularly perinatal care.